Iron absorption is increased by
1. Phytates
2. Tannates
3. Plant food
4. Ascorbic acid

Correct answer: 4. Ascorbic acid

Explanation: Ans. (d) Ascorbic acid(Ref: Robbins 9th/pg 649-652)Iron Absorption*. Site of iron absorption: duodenum and upper jejunum (proximal small intestine) Q.*. Ferrous form (Fe2+) of Iron is absorbed Q.*. Transport of Fe2+ into enterocyte occurs via DMT1 Q.Increased byDecreased by*. Acids Q*. Ascorbic acid (Vitamin C) Q*. Amino acid containing SH-group*. Meat (these reduce Fe3+ to Fe2+)*. Alkalies*. Phosphates Q*. Phytates Q*. Tetracycline*. Presence of other food in stomach